Walls of CT scan rooms are coated with-
1. Lead
2. Glass
3. Tungsten
4. Iron

Correct answer: 1. Lead

Explanation: Ans. is 'a' i.e., Lead * Lead is the most common agent used in modern constructions (Room design) to offer radiation shielding.* Computed tomography is a special type of x-ray procedure. A1 the precautions are same as X-rays.